All are sporicidal agents except -
1. Formaldehyde
2. Glutaraldehyde
3. Ethylene oxide
4. Isopropyl alcohol

Correct answer: 4. Isopropyl alcohol